ANCA positive vasculitis is
1. Churg-strauss syndrome
2. Polyarteritis nodosa
3. Wegener granulomatosis
4. 1 & 3

Correct answer: 4. 1 & 3

Explanation: Wegener granulomatosis is likely to be initiated as a cell mediated hypersensitivity response directed aganist inhaled infectious or environmental antigens. PR3-ANCA are present in almost 95 c/o of cases Chrug - stauss syndrome is a small vessel necrotising vasculitis classically associated with asthma, allergic rhinitis, lung infiltrate, etc. This syndrome may stem from hyperresponsiveness to normally innocuous allergic stimuli. MPO-ANCA s are present in a minority of cases Robbins 9 th edition page no. 354